Consider the following four events of development of fetus: 1. Centers of ossification for calcaneum 2. Centers of ossification for lower end of femur 3. Centers of ossification for talus 4. Centers of ossification for cuboid What is the order in which they appear from lower to higher gestation?
1. 1, 3, 2, 4
2. 1, 3, 4, 2
3. 1, 4, 2, 3
4. 1, 2, 4, 3

Correct answer: 1. 1, 3, 2, 4

Explanation: 16 weeks of IUL Sex can be recognized; lanugo hair is visible on body 20 weeks Nails are distinct and soft, vernix caseosa appears on the body. Fine hair on scalp, meconium at the beginning of large intestine. Center of ossification for calcaneum appears 24 weeks Eyebrow and eye lashes appear meconium is seen in upper part of large intestine 28 weeks Eyelids are open, pupillary membrane disappears Meconium present in entire large intestine. Center of ossification for talus appears 32 weeks Scalp hair is thick. Left testes in scrotum, right testes near the external inguinal ring. 36 weeks Scalp is covered with dark hair; lanugo hair is seen only in shoulders; vernix caseosa is present over the flexures of joints. scrotum contains both testes. Meconium is near the end of large intestine. Ossification centers for lower end of femur (36-37 weeks), cuboid and capitate appear at birth